Urticaria pigmentosa is a disorder of ?
1. Mast cells
2. Neutrophils
3. Eosinophils
4. Lymphocytes

Correct answer: 1. Mast cells

Explanation: Mast cells REF: Rook's Er ed p. 22.31 Urticarial pigmentosa and mastocytosis are disorders of mast cells